What is Grafenbers's Ring
1. Vaginal Pessary to prevent prolapse of uterus
2. I Generation IUD
3. A mechanical barrier to prevent pregnancy
4. None of the above

Correct answer: 2. I Generation IUD